Chronically lymphoedematous limb ispredisposed to all of the following except -
1. Thickening of the skin
2. Recurrent soft tissue infections
3. Marjolin's ulcer
4. Sarcoma

Correct answer: 3. Marjolin's ulcer